All are true for oxytocin EXCEPT:
1. Polypeptide
2. Secreted by anterior pituitary
3. Causes ejection of milk
4. Secreted in both sexes

Correct answer: 2. Secreted by anterior pituitary

Explanation: Ans. B i.e. Secreted by anterior pituitaryOxytocin is secreted mainly by Supraoptic and paraventricular nucleus of hypothalamus and is transported from hypothalamus to posterior pituitary. When suitable stimuli reach the posterior pituitary from hypothalamus, oxytocin is released into blood.